Which of the following has autosomal dominant inheritance –
1. Best's disease
2. Gyrate atrophy
3. Laurence Moon Biedl syndrome
4. Bassen–Kornzweig disease

Correct answer: 1. Best's disease

Explanation: Best's disease is extremely rare form of macular dystrophy. It is autosomal dominantly inherited.
All other options are autosomal recessive inherited.